CT view in paranasal polyp is
1. Coronal
2. Axial
3. Sagittal
4. 3D

Correct answer: 1. Coronal

Explanation: Both coronal and axial view are used, but coronal views are best to study paranasal sinus polypsRef: PL Dhingra, Diseases of Ear, Nose & Throat, 7th edition, pg no. 217 - 218